Hyper parathyroidism is characterised by the following except -
1. Generalised osteoporosis
2. Renal calculi
3. Hypercalcaemia
4. osteosclerosis

Correct answer: 4. osteosclerosis